Thiazide diuretics can be used for the treatment of all of these conditions EXCEPT
1. Idiopathic hypercalciuria with nephrocalcinosis
2. Hyperlipidemia
3. Congestive Heart Failure
4. Hypertension

Correct answer: 2. Hyperlipidemia

Explanation: Thiazides cause hyperlipidemia as adverse effect and thus cannot be used to treat this condition. Indications of thiazides: Diuretic Uses: Non-diuretic Uses: Hypertension (First line drugs) Congestive heart failure Diabetes insipidus Idiopathic hypercalciurea with Nephrocalcinosis Loop diuretics cause hypocalcemia by increasing the excretion of Ca2+ whereas thiazides cause hypercalcemia by decreasing its excretion. Thiazides reduce the excretion of Ca++ in the kidney, so can be used for the treatment of patients with hypercalciuria and recurrent Ca++ stones in the kidney.